One year old male child presented with poor urinary stream since birth. The investigation of choice for evaluation is -
1. Voiding cystourethrography (VCUG)
2. USG bladder
3. Intravenous urography
4. Uroflowmetry

Correct answer: 1. Voiding cystourethrography (VCUG)

Explanation: Ans. is 'a' i.e., Voiding cystourethrography o Poor urinary stream since birth suggests urinary tract obstruction (usually infravesical). o Most common cause of urinary tract obstruction in a male child is posterior urethral valve. o And the best diagnostic method for posterior urethral valve is voiding cystourethrogram.